According to Horning and Cohen staging of oral
necrotizing diseases stage one represents
1. NUG
2. NUP
3. Necrotizing stomatitis
4. Noma

Correct answer: 1. NUG